True about bacteriophage ?
1. Is a virus
2. Causes transduction
3. Causes lysis of Bacteria
4. All of the above

Correct answer: 4. All of the above

Explanation: Ans. is d i.e., All of the above Bacteriophage (phage) Bacteriophages are viruses that infect bacteria. Phages play an important role in the transmission of genetic information between bacteria by the process of transduction. The presence of phage genome integrated with bacterial chromosome confer bacteria certain properties by a process known as phage conversion. Phages have been used as cloning vectors in genetic manipulation.